All of the following are used in Psoriasis except :
1. Secukinumab
2. Ixekizumab
3. Reslizumb
4. Guselkumab

Correct answer: 3. Reslizumb

Explanation: Reslizumb is monoclonal antibody aginst IL-5 used for Asthma  
Guselkumab : Antibody aginst IL-23
Secukinumab & Ixekizumab : Antibody aginst IL-17 used in the treatment of psoriasis.